Which of the following regarding thrombotic thrombocytopenic purpura is false?
1. Renal failure
2. Schistocytes in peripheral smear
3. High ADAMTS13 activity
4. Transient neurological deficits

Correct answer: 3. High ADAMTS13 activity

Explanation: Features of TTP: fever, thrombocytopenia, microangiopathic hemolytic anemia, transient neurologic deficits, and renal failure. microangiopathic hemolytic anemia produces fragmented red cells/schistocytes which can be seen in peripheral blood smear. ADAMTS13 deficiency is present which may be inherited or acquired (because of autoantibodies against ADAMTS13).